Use of tamoxifen in carcinoma of breast patients does not lead to the following side effects:
1. Thromboembolic events
2. Endometrial carcinoma
3. Cataract
4. Cancer in opposite breast

Correct answer: 4. Cancer in opposite breast

Explanation: Selective estrogen receptor modulators (SEAMs) Tamoxifen citrate: Though chemically related to clomiphene, it has complex actions; acts as potent estrogen antagonist in breast carcinoma cells, blood vessels and at some peripheral sites, but as partial agonist in uterus, bone, liver and pituitary. Inhibition of human breast cancer cel b and hot flushes reflect antiestro.e;enic action while the weak estrogen agonistic action manifests as stimulation of endometrial proliferation,lowering of Gn and prolactin levels in postmenopausal women as well as improvement in their bone density. Tamoxifen is the standard hormonal treatment of breast cancer in both pre- and post menopausal women, though aromatase inhibitors are gaining prominence. Side effects Hot flushes. vomiting, vaginal bleeding, vaginal discharge, menstrual irregularities , increased risk of venous thromboembolism,dermatitis,anorexia, depression, mild leucopenia and ocular changes are infrequent. It is much less toxic than other anticancer drugs. ESSENTIALS OF MEDICAL PHARMACOLOGY K.D.TRIPATHI SIXTH EDITION PAGE NO:304